Carotene is not found in high amounts in –
1. Tomato
2. Cabbage
3. Potato
4. Spinach

Correct answer: 3. Potato